Which of the following is generally the longest root canal on the maxillary first molar?
1. Mesiobuccal
2. Distobuccal
3. Palatal
4. Distolingual

Correct answer: 3. Palatal